Duration of the disease for the diagnosis of dysthymia is?
1. 2 years
2. 4years
3. 6 years
4. 8 years

Correct answer: 1. 2 years

Explanation: Ans. is 'a' i.e., 2 years * Dysthymia is long standing (persistent, i.e., 2 years) mild depression which is not severe enough to meet full diagnostic criteria for major depression. Symptoms are more prominent than signs (more subjective than objective depression). This means that disturbances in appetite and libido are uncharacteristic, and psychomotor agitation or retardation is not observed.Diagnostic criteria for dysthymiaDepressed mood (low mood) for at least 2 years plusEither two or more of the followinsi) Poor appetite or overeatingii) Insomnia or hypersomniaiii) Low energy or fatigueiv) Poor concentration or difficulty making decisonsv) v) Feeling of hopelessnessOr three or more of the followingi) Low self-esteem/Self confidence or feeling inadequacyii) Feeling of pessimism, despair, or hopelessnessiii) Generalized loss of interest or pleasureiv) Social withdrawalv) Chronic fatigue or tirednessvi) Feeling of guilt, brooding about the pastvii) Irritability or excessive angerviii) Decreased activity, effectiveness or productivityix) ix) Difficulty in thinking (poor concentration, poor memory, or indecisiveness)* Many patients with a history of dysthymia go on to develop major depression, in which case they are considered to have double depression, i.e., major depression on top of dysthymia.Note: Dysthymia is also refered to as neurotic depression.